One of the following is not penicillinase susceptible:
1. Amoxicillin
2. Penicillin G
3. Piperacillin
4. Cloxacillin

Correct answer: 4. Cloxacillin